Radiation dose safe in pregnancy is
1. 1 rad
2. 5 rads
3. 50 rads
4. 500 rads

Correct answer: 2. 5 rads

Explanation: (Ref: Farr's physics for medical imaging 2e,39)